True about Marjolins ulcer -
1. Develops in long standing scar
2. Sq cell Ca develops
3. Slow growing lesion
4. All

Correct answer: 4. All

Explanation: Ans is 'a' i.e. Develops in long standing scar; 'b' i.e. sq cell Ca develops; 'c' i.e. Slow growing lesion Baghdad sore or oriental sore or Delhi boil is caused by Leishmania Tropica.